Mass treatment with azithromycin is indicated if prevalence of trachoma follicles (TE) in 1-9 years population is more than
1. 4%
2. 6%
3. 8%
4. 10%

Correct answer: 4. 10%

Explanation: D i.e. 10%